In Fothergill's operation following is done -
1. Cervical Amputation
2. Cervical Amputation with anterior colporraphy
3. Cervical Amputation with posterior colporraphy
4. None of the above

Correct answer: 2. Cervical Amputation with anterior colporraphy

Explanation: Ans-B i.e., Cervical Amputation with anterior colporrhaphy Fothergill's Repair (Manchester Operation)o In this operation, the surgeon combines an anterior colporrhaphy with amputation of the cervixo The cut ends of the Mackenrodt ligaments are sutured in front of the cervix, and the raw area on the amputated cervix is covered with vaginal mucosa. It is followed up with a colpoperineorrhaphy.o The operation preserves menstrual and childbearing functions. However, fertility is somewhat reduced because of the amputation of the cervix causing loss of cervical mucuso It is suitable for women under 40 years who are desirous of retaining their menstrual and reproductive functionso Some include dilatation of the cervix and endometrial curettage as a preliminary step in Fothergill repair. This is optional, but desirable in a woman complaining of a menstrual disorder associated with prolapsedo Cervical amputation may lead to incompetent cervical os, habitual abortions or preterm deliverieso Excessive fibrosis may lead to cervical stenosis and dystocia during laboro In rare cases, it may cause haematometra.